Chloroquine acts on -
1. Merozoites
2. Blood schizont
3. Tissue schiont
4. Gametocytes

Correct answer: 2. Blood schizont

Explanation: Ans. is 'b' i.e., Blood schizont o Chloroquine is highly effective blood schizontocide.